Which of the following is not a feature of infant colic syndrome
1. Vomiting
2. paroxysmal symptoms
3. abdominal pain
4. continuous severe cry

Correct answer: 1. Vomiting

Explanation: Ans) a (Vomiting) Ref Nelson 18th ed p 222Usually vomiting is not a feature of infant colic syndromeInfant colic syndrome or Colic is a symptom complex of paroxysmal abdominal pain, presumably of intestinal origin, and severe crying. It usually occurs in infants younger than 3 months of age. The attack usually begins suddenly, with a loud, sometimes continuous cry. The paroxysms may persist for several hours.The infant's face may be flushed, or there may be circumoral pallor. The abdomen is usually distended and tense. The legs may be extended for short periods, but are usually drawn up on the abdomen. The feet are often cold, and the hands are usually clenched. The attack may not terminate until the infant is completely exhausted. Sometimes, however, the passage of feces or flatus appears to provide relief.The etiology usually is not apparent, but in some infants, the attacks seem to be associated with hunger or with swallowed air that has passed into the intestine. Worry, fear, anger, or excitement may cause vomiting in an older child and may cause colic in an infant, but no single factor consistently accounts for colic and no treatment consistently provides satisfactory relief. Careful physical examination is important to eliminate the possibility of intussusception, strangulated hernia, or other serious causes of abdominal pain.The fact that the condition rarely persists beyond 3 mo of age should be reassuring.